Macrophages Containing PAS Positive granules and rod_shaped bacilli in small intestinal mucosa are Found in
1. Agammaglobulinemia
2. Tropical Sprue
3. Whipple's disease
4. Coeliac sprue

Correct answer: 3. Whipple's disease

Explanation: Whipple's Disease (Intestinal Lipodystrophy) This is an uncommon bacterial disease involving not only the intestines but also various other systems such as central nervous system, heart, blood vessels, skin, joints, lungs, liver, spleen and kidneys. The disease is more common in males in 4th to 5th decades of life. Patients may present with features of malabsorption or may have atypical presentation in the form of migratory polyarthritis, neurological disturbances and focal hyperpigmentation of the skin. Histologically, the affected tissues show presence of characteristic macrophages containing PAS-positive granules and rod-shaped micro-organisms (Whipple's bacilli). These macrophages are predominantly present in the lamina propria of the small intestine and mesenteric lymph nodes. Patients respond very well to oral antibiotic therapy. TEXT BOOK OF HARSH MOHAN SIXTH EDITION PAGE .576